Direct disease transmission (man to man) is NOT seen in
1. Malaria
2. Influenza
3. Hepatitis
4. Impetigo

Correct answer: 1. Malaria

Explanation: (Malaria): (93- 237 - Park 22nd/ edition)Direct transmission* STD and AIDS, leprosy, leptospirosis, skin and eye infections* Droplet infection includes - many respiratory infections, eruptive fevers, many infections of the nervous system, common cold, diphtheria, whooping cough, tuberculosis, meningococcal meningitis* Contect with soil - hookworm lamae, tetanus, mycosis* Inoculation into skin or mucosa - Rabies virus by dog bite, hepatitis B virus through contaminated needles and syringes* Transplacental (or vertical) transmission - TORCH, varicella virus, syphilis, hepatitis -B Caxsackie B and AIDS, Thalidomide diethyl stilbestrolInfluenza is spread mainly from person to person by droplet infection or droplet nuclei created by sneezing coughing or talkingMalaria - Direct transmission may be induced accidentally by hypodermic intra muscular and intravenous infections of blood or plasma eg blood transfusion, malaria in drug addicts (237- Park 22nd /ed)* Malaria is most commonly transmitted through vector borne Indirect Transmission - by bite of certain species of infected, female